Increased airway resistance is/are caused bya)  Forced expirationb) Denser airc)  Low lung volumed) High lung volue
1. ab
2. bc
3. acd
4. abc

Correct answer: 4. abc

Explanation: There is dynamic compression of the small airways during forceful expiration, resulting in increased airway resistance. When the air is denser, the airway resistance is more. Less volume of the lung also increases the airway resistance.